Microvesicular fatty liver is seen in -
1. Valproic acid
2. Tetracycline
3. Rey's syndrome
4. All

Correct answer: 4. All

Explanation: Ans. is 'a' i.e., Valporic acid; 'b' Tetracycline;`c' i.e., Rey's syndrome